Infectivity period of chickenpox is ?
1. 1 day before and 4 days after appearance of rash
2. 4 days before and 5 day after appearance of rash
3. Only when scab falls
4. Entire incubation period

Correct answer: 1. 1 day before and 4 days after appearance of rash

Explanation: Ans. is 'a' i.e., 1 day before and 4 days after appearance of rash Period of communicability: Chicken pox: 1 - 2 days before to 4 - 5 days after appearance of rash Measles: 4 days before to 5 days after appearance of rash Rubella: 7 days before symptoms to 7 days after appearance of rash Mumps: 4 - 6 days before symptoms to 7 days thereafter Influenza: 1 - 2 days before to 1 - 2 days after onset of symptoms Diphtheria: 14 - 28 days from disease onset Pertussis: 7 days after exposure to 3 weeks after paroxysmal stage Poliomyelitis: 7 - 10 days before and after onset of symptoms Hepatitis A: 2 weeks before to 1 week after onset of jaundice Hepatitis B: Till disappearance of HBs Ag & appearance of anti-HBs Meningococcal: Until absent from nasal and throat discharge Tuberculosis: As long as not treated